Floating tip in an iceberg phenomenon represents
1. Latent cases
2. In Apparent cases
3. Carriers
4. Clinical cases

Correct answer: 4. Clinical cases